All are true about Rickettsia except -
1. obligate intracellular
2. Gram +ve bacillus
3. Arthropods are vector
4. Weil felix test is diagnostic

Correct answer: 2. Gram +ve bacillus